Stage T1N0M0 in breast cancer indicates-
1. Tumor more than 2 cms in diameter without axillary nodes and absent metastasis
2. Tumour 2 cms or less without axillary nodes and no metastasis
3. Tumour fixed to the chest wall without axillary nodes or distant metastasis
4. Tumour fixed to the underlying muscle with no nodes in axilla but wth distant metastasis.

Correct answer: 2. Tumour 2 cms or less without axillary nodes and no metastasis